Nerve commonly injured in anterior dislocation of shoulder joint:
1. Radial nerve
2. Circumflex branch of axillary nerve
3. Median nerve
4. Ulnar nerve

Correct answer: 2. Circumflex branch of axillary nerve

Explanation: Ans: B i.e. Circumflex branch of axillary nerve